Epicritic perception of pain occurs at the level of
1. Thalamus
2. Area 3, 1, 2
3. Areas 5, 7
4. Pulvinar

Correct answer: 2. Area 3, 1, 2